The EEG cabins should be completely shielded by a continuous sheet of wire mesh of copper to avoid the picking up of noise from external electromagnetic disturbances. Such a shielding is called as:
1. Maxwell cage
2. Faraday cage
3. Edison's cage
4. Ohms cage

Correct answer: 2. Faraday cage

Explanation: Ans. Faraday cage